Which of the following is the commonest location of hypertensive hemorrhage:
1. Pons
2. Thalamus
3. Putamen/external capsule
4. Cerebellum

Correct answer: 3. Putamen/external capsule

Explanation: Ans. is 'c' i.e. Putamen (internal capsule) See Medicine Nov. (2002) Q. No. 106Most common site of hypertensive hemorrhage is -Basal Ganglia (Putamen, thalamus & adjacent deep white matter)Also RememberM.C. intracranial hemorrhageIntracerebral or intraparenchymal hemorrhage*M.C. cause of intracerebral hemorrhageHypertension due to rupture of small penetrating arteries. *M.C. cause of subarachnoid HaemorrhageTrauma (IInd rupture Berry's aneurysm)*